When examining muscle function at the metacarpophalangeal (MP), proximal interphalangeal (PIP), and distal interphalangeal (DIP) joints, what findings do you expect in the presence of radial nerve palsy?
1. Inability to abduct the digits at the MP joint
2. Inability to adduct the digits at the MP joint
3. Inability to extend the MP joint only
4. Inability to extend the MP, PIP, and DIP joints

Correct answer: 3. Inability to extend the MP joint only

Explanation: Radial nerve palsy produces an inability to extend the metacarpophalangeal joints, owing to paralysis of the extensor digitorum communis muscle. However, the lumbrical and interossei muscles, which are served by the median and ulnar nerves and insert into the dorsal expansions (extensor hoods) of the proximal phalanges, are able simultaneously to flex the metacarpophalangeal joints and to extend the interphalangeal joints . Also, abduction of the digits, a function of the dorsal interossei, and adduction, a function of the palmar interossei, are both mediated by the ulnar nerve and, therefore, unaffected .